TB endometritis causes infertility by:a) Causing anovulationb) Destroying endometriumc) Tubal blockaged) Ciliary dysmotility
1. bc
2. c
3. ac
4. ad

Correct answer: 1. bc

Explanation: • Most common site for genital TB is fallopian tube (90% cases).
• Uterus is involved in 70% cases of genital tuberculosis.
• The infection to uterus descends from the tube, i.e. if TB endometritis is present, invariably tubes are involved.
• Most common symptom of Genital TB: Infertility (35 – 60%). Infertility is either due to blockage of fallopian tube or due to loss of tubal function even if tubes are patent.
Tubercular endometritis causes uterine scarring which destroys the endometrium leading to synechia formation (Asherman syndrome) and infertility.
“In developing countries, genital TB may account for 3% or more of patients with infertility. In these cases tubal damage and endometrial adhesions are the underlying cause.”